Warfarin acts by
1. Inhibition of Vitamin K epoxide reductase
2. Inhibition of gamma glutamyl carboxylase
3. Activation of Vitamin K epoxide reductase
4. Activation of gamma glutamyl carboxylase

Correct answer: 1. Inhibition of Vitamin K epoxide reductase

Explanation: Ans. is 'a' i.e., Inhibition of Vitamin K epoxide reductase